Renal causes of acute renal failure in children include?
1. Minimal change disease
2. Renal amyloidosis
3. Pre-eclampsia
4. Hemolytic uremic syndrome

Correct answer: 4. Hemolytic uremic syndrome

Explanation: Ans. is "d' i.e., Hemolytic uremic syndrome Acute renal failure o Acute renal failure (ARF) is a clinical syndrome in which a sudden deterioration in renal function results in the inability of the kidneys to maintain fluid and electrolyte hemostasis. o ARF has been classified into three categories ? 1) Pre-renal ARF (Pre-renal azotemia) Characterized by diminished effective circulatory volume, which leads to inadequate renal perfusion and a decreased GFR. There is no renal parenchymal damage. 2) Intrinsic renal ARF Characterized by renal parenchymal damage, including sustained hypoperfusion / ischemia. 3) Postrenal ARF Characterized by obstruction of urinary tract.